Quellung reaction is seen in ?
1. Group B streptococcus
2. Staphylococcus
3. Pneumococcus
4. Enterococcus

Correct answer: 3. Pneumococcus

Explanation: Ans. is 'c' i.e., Pneumococcus A suspension of pneumococci is mixed on a slide with a drop of the type specific antiserum and methylene blue. On the presence of homologous antiserum capsule becomes apparently swollen, sharply delineated and refractile. This is called Quellung reaction.